All are used in attention deficit hyperactivity disorder (ADHD) except:
1. Phenobarbitone
2. Methyl phenidate
3. Dextro-amphetamine
4. None

Correct answer: 1. Phenobarbitone

Explanation: Ans: a (Phenobarbitone) Ref: Ahuja, 6th ed, p. 180, Kaplan & Sadock, 8th edADHD is believed to be the most common psychiatric disorder in children, affecting 3 to 5 percent of the school-age population.Most children with ADHD are referred between the ages of 6 to 12.Treatment1) Pharmacotherapya. Stimulant medication-Dextroamphetamine and methyl phenidate are the drugs of choice in treatment of hyperkinetic disorder.b. Others-Used when stimulants are not effective. These include clonidine, imipramine, bupropion, venlafaxine, chlorpromazine, thioridazine and lithium carbonate. Atomoxetine can also be tried in those not responding to stimulants.2) Behaviour modification3) Counseling and supportive measures